A patient of endogenous depression was administered imipramine. After how much time interval the therapeutic effect of Imipramine is likely to manifest?
1. 3 days
2. 1 week
3. 3 weeks
4. 3 months

Correct answer: 3. 3 weeks